Which type of candidiasis is associated with leukoplakia
1. Acute pseudomembranous candidiasis
2. Acute atrophic candidiasis
3. Chronic atrophic candidiasis
4. Chronic hyperplastic candidiasis

Correct answer: 4. Chronic hyperplastic candidiasis